Which of the following etiologic agents is the most common cause of infection in liver transplant patients?
1. Candida
2. Cytomegalovirus
3. Herpes simplex virus
4. P. carinii

Correct answer: 2. Cytomegalovirus

Explanation: Ans. B. CytomegalovirusComplications of infections in liver transplant patients account for nearly 90 percent of deaths. The most common infectious agent after transplantation is Cytomegalovirus (CMV), herpesvirus. Reported occurrence ranges from 23 to 85 percent of all liver transplant patients. Fortunately, CMV is rarely fatal